Investigation of choice for Intraocular foreign body is -
1. CT Scan
2. MRI
3. USG
4. X-ray

Correct answer: 1. CT Scan

Explanation: Ans. is 'a' i.e., CT Scan o Computed tomography provides much more reliable information regarding the size, shape, and localization of the foreign body.o MRI generally is not used in metallic IOFB. MRI may be more effective in localizing nonmetallic IOFB such as woodo Ultrasound can be a useful adjunct in localizing IOFB and to determine if the object is metallic. Ultrasound could be performed carefully in case of an open globe injury.'